If a missile enters the body just above the pubic ramus through the anterior abdominal wall, it will most likely pierce which of the following structures
1. Abdominal aorta
2. Left renal vein
3. Urinary bladder
4. Spinal cord

Correct answer: 3. Urinary bladder

Explanation: When the bladder is not empty, it rises above the level of the pubic symphysis. Other options given, do not reach the level of the pubic symphysis.